The husband involved in battered wife syndrome is usually:-
1. Dependent and suspicious
2. Mature and assertive husband
3. Immature and assertive
4. Mature and non controlling

Correct answer: 1. Dependent and suspicious

Explanation: Battered wife syndrome- Husband is involve in mental, sexual and physical abuse to his wife Abusive husbands tend to be immature, dependent, and nonassertive and to suffer from strong feelings of inadequacy The husband's aggression is bullying behavior designed to humiliate their wives and to build up their own low self-esteem Abuse happened most likely when man feel insecurity at home, workplace